A patient with a Pancoast tumor develops a loss of voice after radiation. It is due to -
1. Vocal cord infiltration with secondaries
2. Involvement of recurrent laryngeal nerve
3. Irradiation to vocal cords
4. Radiation stenosis of larynx

Correct answer: 2. Involvement of recurrent laryngeal nerve